A child has cystic fibrosis. His parents report a history of recurrent respiratory tract infections and bulky, foul-smelling stools. After assessment of his respiratory tract illness, the practitioner should also look for signs of which vitamin deficiency.
1. Vitamin C
2. Vitamin A
3. Vitamin B1
4. Vitamin B6

Correct answer: 2. Vitamin A

Explanation: Vitamin A